Swan Ganz catheter measure
1. PCWP
2. C.O.
3. Mixed venous 02 saturation
4. All

Correct answer: 4. All

Explanation: A i.e. PCWP; B i.e. CO; C i.e. Mixed venous 02 saturation